Which of the following is not an absolute contraindication for thrombolytic therapy in acute ST segment elevation myocardial infarction?
1. Significant closed head injury
2. Symptoms suggestive of aortic dissection
3. Presence of metastatic intracranial malignancy
4. Pregnancy

Correct answer: 4. Pregnancy

Explanation: Answer- D. PregnancyPregnancy is a relative contraindication for thrombolytic therapy in acute ST segment elevation myocardial infarction and not an absolute contraindication.Historv of any intracranial hemorrhagicHistory of ischemicl stroke within the preceriing thrse months, with the important exception of acute ischemic storke seen within three hours, which may be treated with thrombolytic therapy.Presence of a cerebral vascular malformation or a primary or metastatic intracranial malignancy.Symptoms or signs suggestive of an aortic dessection-A bleeding diathesis or active bleeding, with the exception of menses. thrombolytic therapy may increase the risk of moderate bleeding, which is offset by the benefits of thrombolysis.